Disulfiraim and acamprosate are used for:
1. Alcohol abstinence
2. Cocaine abuse
3. Opium poisoning
4. Atropine over dose

Correct answer: 1. Alcohol abstinence

Explanation: Disulfiram inhibits the enzyme aldehyde dehydrogenase probably after conversion into active metabolite .When alcohol is ingested after taking disulfiram the concentration of acetaldehyde in tissue & blood rises & number of highly distressing symptoms produced. Disulfiram aversion therapy is indicated in abstinent subjects. Ref KD Tripathi 8th ed.